Lining of gallbladder mucosa is -
1. Squamous
2. Simple columnar
3. Simple columnar with brush border
4. Cuboidal with Stereocilia

Correct answer: 3. Simple columnar with brush border

Explanation: Ans. is 'c'i.e., Simple columnar with brush border o Linining of gall-bladder is columnar epithelium with brush border (irregularly placed microvilli).Types of epitheliumTissue or organSimple squamousLung alveoliMesothelium lining serous surfaces Endocardium and endothelium Loop of henle in nephronKeratinized stratified squamousEpidermis of skin Duct of sebaceous glandNon keratinized stratified squamousTongue, tonsil, pharynx, esophagusCorneaVaginaSimple columnar epithelium (without cilia and microvilli)Lining of stomach and large intestine Cervical canalColumnar epithelium with striated border (regularly arranged microvilli)Lining of small intestineColumnar epithelium with brush border (Irregularly placed microvilli)Gall bladderCiliated columnar epithelium(cilia on surface for propulsion of fluid)Uterus and fallopian tubesEustachian tubeCentral canal of spinal cord and ventricles of brainRespiratory epitheliumSecretory columnar epithelium (with goblet cells)Stomach and intestinesTrachea and bronchiPseudostratified columnar epitheliumOlfactory epitheliumTracheaEustachian tubeVas + deferensUrethraCuboidal epitheliumDucts of glandsThyroid folliclesOvarian surface epitheliumTransitional epithelium (Urothelium)Renal pelvis, calyces, ureter, urinary bladder and part of urethra